A large baby is born with which complication in pregnancy
1. Gestational diabetes
2. Gestational hypertension
3. Cardiac disease
4. Anaemia

Correct answer: 1. Gestational diabetes

Explanation: Ans. is a i.e. Gestational diabetes